Pathological feature of pyogenic granuloma
1. Epitheloid cells
2. Cavernous hemangioma
3. Granulation tissue
4. Giant cells

Correct answer: 3. Granulation tissue

Explanation: Pyogenic granulomas) are pedunculated masses usually found on the gingiva of children, young adults, and pregnant women. These lesions are richly vascular and typically are ulcerated, which gives them a red to purple color. In some cases, growth can be rapid and raise fear of a malignant neoplasm. However, histologic examination demonstrates a dense proliferation of immature vessels similar to that seen in granulation tissue. Pyogenic granulomas can regress, mature into dense fibrous masses, or develop into a peripheral ossifying fibroma. Complete surgical excision is definitive treatment. (Robbins basic pathology,9th edition,pg no.553)